The major contributor to semen is from -
1. Seminal vesicle
2. Cowper's glands
3. Prostate
4. Urethral gland

Correct answer: 1. Seminal vesicle

Explanation: Ans. is 'a' i.e.. Seminal vesicle o Seminal vesicle secretions contributes 60% of total volume of semen.o Beta-2 transferrin is an isoform of transferrin,o It is found in cerebrospinal fluid (CSF).o It is not found in other body fluids (blood, mucus, tear, saliva, urine),o Therefore, it is a specific marker for CSF and is used for diagnostic of CSF leaks.